'Maltese Cross' is a characteristic feature of:
1. Cryptococcus Neoformans
2. Babesia Microti
3. Blastomycosis
4. Penicillium Marneffei

Correct answer: 2. Babesia Microti

Explanation: Babesia Microti is a parasitic blood-borne disease transmitted by deer tick (Ixodes scapularis) does not infect liver cells. Its clinical symptoms is similar to malaria, so diagnosis is really confusing. Under the microscope, the merozoite form of the microti lifecycle in red blood cells forms a cross-shaped structure, often referred to as a "Maltese cross", whereas malaria forms more of a diamond ring structure in red blood cells. Ref: Medical Microbiology By Jawetz, 24th Edition, Page 680; 'Clinical Hematology' By Turgeon, 4th Edition, Page 108; 'Blood Cells' By Bain, 3rd Edition, Page 137